A patient presents with pain in the thigh, relieved by aspirin. X-ray shows a radiolucent mass surrounded by sclerosis. Diagnosis is ?
1. Osteoma
2. Osteoid osteoma
3. Osteoblastoma
4. Osteoclastoma

Correct answer: 2. Osteoid osteoma

Explanation: Ans. is 'b' i.e., Osteoid osteoma Radiolucent lesion with surrounded sclerosis and pain relief by a salicylate (aspirin) are characteristics of osteoid osteoma.